Which of the following antimicrobial agents act solely on the gram positive bacterial cell wall ?
1. Ciprofloxacin
2. Gentamicin
3. Tetracycline
4. Vancomycin

Correct answer: 4. Vancomycin

Explanation: Ans. is 'd' i.e., Vancomycin o Among the given options only vancomycin acts on cell wall.